All are used to shrink fibroids EXCEPT :
1. Estrogen
2. Danazol
3. Mifepristone
4. GnRH analogue

Correct answer: 1. Estrogen

Explanation: Estrogen